True about Vestibular Schwannoma is
1. Converging ABLB Laddergram
2. Recruitment phenomenon is present
3. High SISI score
4. Rollover phenomenon is seen

Correct answer: 4. Rollover phenomenon is seen

Explanation: Meniere's disease is an important differential for acoustic neuroma as the patients suffer from similar symptoms. Meniere's is a cochlear pathology and acoustic neuroma is retrocochlear. Audiological diagnostics: Test Cochlear Retro- Cochlear S.I.S.I Positive ( >70%) Negative A.B.L.B Laddergram Converging Diverging Tone Decay Negative( <25 dB) Positive ( >25dB) Speech Audiometry SDS = 60-80% <40%, Roll over phenomenon B.E.R.A ( Wave V Latency) </= 4.2 msec >4.2 msec